Tumour antigen S-100 is present in
1. Chorio carcinoma
2. Breast cancer
3. Neural tumours
4. Testicular tumours

Correct answer: 3. Neural tumours